Transverse uterine incision is preferred to vertical incision because
1. Less risk of post partum endometritis.
2. Lessens risk of rupture in subsequent pregnancy.
3. Easier to deliver the fetus.
4. Is located in active segment of uterus.

Correct answer: 2. Lessens risk of rupture in subsequent pregnancy.

Explanation: Compared with classical incision, transverse incision is easier to repair, is located in inactive segment and thus least likely to rupture in future pregnancies.
It causes less incision site bleeding and promotes less bowel adhesions.